Which of the following is a Direct thrombin inhibitors?
1. Lepirudin
2. Argatroban
3. Bivalirudin
4. All of the above

Correct answer: 4. All of the above

Explanation: Ans. D. All of the aboveDirect thrombin inhibitorsMechanism of action: Thrombin inhibitionExample:a. Lepirudinb. Argatrobanc. Bivalirudind. Ximelagatrane. Dabigatran (oral drug).